Albumin-cytological dissociation is seen in all of the following Except
1. Lead encephalopathy
2. Acute poliomyelitis
3. Infective polyneuritis
4. Tumors of spinal cord

Correct answer: 2. Acute poliomyelitis

Explanation: Conditions that produce albumin cytological dissociation are:Guillain Barre syndromeInfective polyneuritisTumors of the spinal cordLead encephalopathyIn acute poliomyelitis, there is pleocytosis with moderate elevation of protein